Antiphospholipid antibody detection is indicated in all of the following conditions except:
1. Three or more consecutive first trimester pregnancy losses
2. Unexplained cerebrovascular accidents
3. Early onset severe pre-eclampsia
4. Gestational Diabetes

Correct answer: 4. Gestational Diabetes

Explanation: Indications for antiphospholipid antibody testing during pregnancy includes, adverse pregnancy outcome, recurrent first trimester abortion (>=3), unexplained death of morphologically normal fetus after 10wks of gestation, severe early pre-eclampsia, venous thromboembolism, arterial thromboembolism, lividorericularis, transverse myelitis, skin necrosis and chorea. Ref: Clinical Manifestations of Antiphospholipid Antibodies (APS) By Davidson, 21st Edition, Page 1050 ; Neurohospitalist Medicine By S. Andrew Josephson, W. David Freeman, David J. Likosky, Page 146 ; Current Medical Diagnosis and Treatment, 2012, Chapter 20.